DISC prolapse is common at all site except ?
1. L4 - L5
2. L5 - S1
3. C6 - C7
4. T3 - T4

Correct answer: 4. T3 - T4

Explanation: Ans. is 'd' i.e., T3 - T4 Herniation of intervertebral disc is a common cause of combined back pain and sciatica (Pain in back with radiation to lower limb). Prolapsed intervertebral disc is often precipitated by injury, but it may also occur in the absence of any remembered injury. The disc between Lc and Sp and between L4 and L5 are those most often affected (80%). Lower cervical region (C's - C6 and C6_7) is affected in 19-20%.